All are tests for sperm, EXCEPT
1. Florence test
2. Luminal test
3. Barberio test
4. Acid phosphatase test

Correct answer: 2. Luminal test

Explanation: B i.e. Luminal test